Reverse bevels are given:
1. To facilitate easy withdrawal of wax pattern
2. For purpose of aesthetics
3. To counteract oblique forces
4. All of the above

Correct answer: 3. To counteract oblique forces